The most common condition of inherited blindness due to mitochondria! chromosomal anomaly is:
1. Retinopathy of prematurity
2. Leber's hereditary optic neuropathy
3. Retinitis pigmentosa
4. Retinal detachment

Correct answer: 2. Leber's hereditary optic neuropathy

Explanation: Ans. Leber's hereditary optic neuropathy